For diagnosis of mania symptoms should be-
1. > 1 week
2. > 3 weeks
3. >2 week
4. > 4 weeks

Correct answer: 1. > 1 week

Explanation: Ans. is 'a' i.e., > 1 Week Diagnostic criteria for Mania Three or more of the following for at least 1 week : - Inflated self esteem or grandiosity Decreased need for sleep Ovealkativness Flight of ideas or racing thoughts Distractibility increased goal directed activity or psychomotor agitation Excessive involvement in pleasurable activities that have a high potential for painful consequences. The mood disturbance is sufficiently severe to cause marked impairment in occupational & social functioning, or there are psychotic features. If the symptoms occur for 4 days, and do not cause impairment of social/occupational functioning, and psychotic feature are absent, then the diagnosis is hypomania.